True about male breast cancer is all except:-
1. Less than 2% of all cases of breast cancer
2. Most commonly it is infiltrating lobule carcinoma
3. Gynaecomastia is not a risk factor
4. Exocrine or endocrine estrogen exposure can predispose to it

Correct answer: 2. Most commonly it is infiltrating lobule carcinoma

Explanation: Lobular carcinoma(both in-situ & invasive) is rarely seen due to absence of lobules in males. Most common variety is infiltrating ductal carcinomaQ. PREDISPOSING FACTORS Excess endogenous or exogenous estrogen(Testicular disease,infertility, obesity, cirrhosis)Q Radiation therapy, Klinefelter's syndrome and testicular feminizing syndromesQ. BRCA2 mutationsQ Gynecomastia is not a risk factor for carcinoma male breastQ.